All of the following are Hybrid muscles except?
1. Pectineus
2. Adductor magnus
3. Tensor fascia lata
4. Biceps femoris

Correct answer: 3. Tensor fascia lata

Explanation: HYBRID MUSCLES: Muscles which have more than one set of fibers but perform same function & are supplied by different nerves for different set of fibers BICEPS FEMORIS, ADDUCTOR MAGNUS, PECTINEUS are HYBRID muscles.